In crush syndrome what is noted
1. Renal failure
2. Liver failure
3. Cardiac failure
4. Endocrine crisis

Correct answer: 1. Renal failure

Explanation: In a crush injury, crushing of muscle leads to a reperfusion injury when the casualty is rescued.This releases myoglobin and vasoactive mediators into the circulation.It also sequesters many litres of fluid, reducing the effective intravascular volume and resulting in renal vasoconstriction and ischaemia. The myoglobinuria leads to renal failure from tubular obstructionBailey and Love 26e pg: 430